Left sided lateral gaze is affected in leasion of :
1. Right frontal lobe
2. Right occipetal lobe
3. Left occipetal lobe
4. Left frontal lobe

Correct answer: 1. Right frontal lobe

Explanation: A i.e. Right frontal lobe